Continuous administration of GnRH-
1. Stimulates hypothalamic--pituitary axis
2. Suppresses hypothalamic--pituitary axis
3. May suppresses or stimulate hypothalamic--pituitary axis
4. Has so no effect on hypothalamic--pituitary axis

Correct answer: 2. Suppresses hypothalamic--pituitary axis

Explanation: Ans. (b) Suppresses hypothalamic--pituitary axis(Ref: Ganong, 25th ed/p.327)Continuous (nonpulsatile) administration of GnRH inhibits the release of FSH and LH by the pituitary in both women and men